Injury to cervical nerve C5, C6 causes:
1. Erb's paralysis
2. Klumpke paralysis
3. Horner syndrome
4. Central cord syndrome

Correct answer: 1. Erb's paralysis

Explanation: Ans. (a) Erb's paralysisRef: Apley's orthopedics 9th ed./ 279-80Erb's paralysis- Erb's palsy or Erb-Duchenne palsy is a paralysis of the arm caused by injury to the upper group of the arm's main nerves, specifically the severing of the upper trunk C5-C6 nerves.Position of hand in Erb's paralysis: Adducted, Internally rotated, and pronatedKlumpke's paralysisKlumpke's Palsy involves the eighth cervical vertebra and the first thoracic vertebra (C8 and Tl).Position of hand: Elbow flexed, arm supinatedThere may be unilateral homer syndromeHorner syndromeSeen with Pancoast tumor and presents with Ptosis, Miosis, enopthalmos, anhydrosis, loss of ciliospinal reflex.Central cord syndromeSeen most often after a hyperextension injury in an individual with long-standing cervical spondylosis. It presents with features of cortico-spinal pathway.